Supination - pronation occurs at ?
1. Wrist joint
2. Radiocarpal joint
3. Radio-ulnar joint
4. Elbow joint

Correct answer: 3. Radio-ulnar joint

Explanation: Radio-ulnar joint